Which of the following statements best describes the mechanism of action of benzodiazepines?
1. Benzodiazepines activate GABAB receptors in the spinal cord
2. Benzodiazepines block glutamate receptors in neuronal pathways in the brain
3. They increase the frequency of opening of chloride ion channels that are coupled to GABAA receptors
4. They are direct acting GABA receptor agonists in the CNS

Correct answer: 3. They increase the frequency of opening of chloride ion channels that are coupled to GABAA receptors

Explanation: Benzodiazepines are GABA facilitatory drugs. These activate BZD receptors that increase the binding of GABA to GABAA receptors. That result in increase in frequency of chloride channels in neurons resulting in CNS depression.